Preterm babies:
1. Bom before 37 weeks of gestations
2. Bom before 38 weeks of gestations
3. Bom before 39 weeks of gestations
4. Bom before 40 weeks of gestations

Correct answer: 1. Bom before 37 weeks of gestations

Explanation: (Born before 37 weeks of gestations): Ref: (460-Park 20th)1. Preterm babies - babies bom too early before 37 weeks of gestations (259 days)2. Small for date (SFD) babies - bom at term or preterm. They weight less than the 10th percentile for the gestational age.3. Term: babies bom from 37 completed weeks to less than 42 completed weeks (259 to 293 days) of gestations4. Post term: - Babies bom at 42 completed weeks or anytime thereafter (294 days and over) of gestation